Which is not a mechanism of action of intra uterine contraceptive devices (IUCD)?
1. Increased motility
2. Aseptic inflammation
3. Altered cervical mucus
4. Inhibit ovulation

Correct answer: 4. Inhibit ovulation

Explanation: IUCD acts as a foreign body in the uterus. It has no effect on ovulation.